The kidney secrete all of the following hormones except:
1. Renin
2. Erythropoietin
3. Vasopressin
4. 1,2,5 Dihydroxy cholecalciferol

Correct answer: 3. Vasopressin